Middle piece of sperm contains ?
1. Golgi apparatus
2. Mitochondria
3. Lysosome
4. Ribosome

Correct answer: 2. Mitochondria

Explanation: Ans. is 'b' i.e., Mitochondria